In epidural lumbar puncture, all of these structures are pierced EXCEPT:
1. Posterior longitudinal ligament
2. Ligamentous flavum
3. Interspinous ligament
4. Supraspinous ligament

Correct answer: 1. Posterior longitudinal ligament

Explanation: Ans. A Posterior longitudinal ligamentRef: Gray's, 38th ed. pg. 512; Keith Moore, 4th ed. pg. 483* Structures pierced during lumbar puncture (from outside in) are:- Skin - subcutaneous tissue - Supraspinous & interspinous ligament - Ligament flavum - Duramater - Arachnoid mater.